Strongest oxygen radical amongst the following is
1. O2-
2. OH-
3. H2O2
4. HCIO

Correct answer: 2. OH-

Explanation: Reactive Oxygen Species (ROS) radicals like the hydroxyl radical . It is the most reactive of them all; note how it differs from the hydroxyl ion . the superoxide anion which is both ion and radical